A 40 yr female progressive dysponea from 1 yr. She also has b/I bibasilar end inspirapory crepitation.True statement are:
1. May be assocated with connective tissue disease
2. Residual volume (upword arrow) ed
3. (upward arrow) Total lung capacity (TLC)
4. None

Correct answer: 1. May be assocated with connective tissue disease

Explanation: The patient is having interstitial inflammatory lung disease with progressive dyspnoea & bilateral basal end inspiratory crackles.9% of ILD can be associated with connective tissue disordera.,like,SLE,Rheumatoid arthritis,Ankylosing spondylitis,Systemic sclerosis,Sjogren's syndrome,polymyositis-dermatomyositis.In ILD associated with connective tissue disorders,clinical findings suggestive of it like musculoskeletal pain,weakness,fatigue,fever,joint pain or swelling,photosensitivity,Raynaud's phenomenon,pleuritis,dry eyes,dry mouth,etc can be present. In ILD TLC &RV decreases. Reference:Harrison's